Salting out process involves
1. Precipitation of proteins using ammonium sulphate
2. Precipitation of proteins using sodium chloride
3. Precipitation of proteins usingcopper sulphate
4. None of these

Correct answer: 1. Precipitation of proteins using ammonium sulphate

Explanation: Salting out : Most proteins are less soluble at high salt concentrations, an effect called salting out. The salt concentration at which a protein precipitates differs from one protein to another. Hence, salting out can be used to fractionate proteins. For example, 0.8 M ammonium sulfate precipitates fibrinogen, a blood-clotting protein, whereas a concentration of 2.4 M is needed to precipitate serum albumin. Salting out is also useful for concentrating dilute solutions of proteins, including active fractions obtained from other purification steps.